McMurray's test is positive in injury of:
1. Anterior cruciate ligament
2. Posterior cruciate ligament
3. Medical meniscus injury
4. All

Correct answer: 3. Medical meniscus injury

Explanation: C i.e. Medial meniscus injury